Mydriatic used in 3 years old child for refraction is
1. 1 % Atropine drops
2. 1 % Atropine ointment
3. 1 % Homoatropine drops
4. 1 % Tropicamide drops

Correct answer: 2. 1 % Atropine ointment

Explanation: B i.e. 1% Atropine ointment